Consider the following features: UPSC 07 Impaired judgment Impaired memory Alteration of mood Clouding of consciousness Which of the above are characteristic of dementia?
1. i. and ii
2. i, ii and iii
3. iii and iv
4. i, ii, iii, iv

Correct answer: 2. i, ii and iii

Explanation: Ans. i, ii and iii